Anal carcinoma is most commonly of type?
1. Adenocarcinoma
2. Epidermoid
3. Mixed
4. None of the above

Correct answer: 2. Epidermoid

Explanation: Epidermoid carcinoma of the anus includes squamous cell carcinoma, cloacogenic carcinoma, transitional carcinoma and basaloid carcinoma. The clinical behaviour and natural history of these tumors is similar. Ref: Schwartz 9/e, Page 1053; Maingot's 10/e, Page 1505.